Man is the only reservoir of -a) Rabiesb) Measlesc) Typhoidd) Japanese B encephalitis
1. a
2. bc
3. ac
4. ad

Correct answer: 2. bc

Explanation: Measles
The only source of infection is a case of measles. Carriers are not known to occur. There is some evidence to suggest
that subclinical measles occurs more often than previously thought.
Typhoid
Man is the only known reservoir of infection, case or carrier.
Rabies

In urban Rabies dog acts as a reservoir.
In Wild-life rabies jackal , fox and other animals act as reservoir.

Japanese Encephalitis
Animal and birds act as reservoir.